Regarding lipoma of spermatic cord which of the following is true:
1. Soft & irregular
2. No cough impulse
3. Will not reduce
4. All of the above

Correct answer: 4. All of the above

Explanation: Ans: d (All of the above) Ref: S. Das, p. 449Sites of ectopic testis -* Superficial inguinal pouch (inguinal)* Femoral triangle (femoral)* Perineum (perineal)* Base of penis (pubic)Diffuse lipoma of the spermatic cord* Very rare condition* Cord feels soft & lobulated* Swelling is irreducible* No impulse on coughingChair test (Orr) -To differentiate retractile testis from ectopic testis